Soap bubble apearance can be seen in :
1. Ameloblastoma
2. Odontogenic keratocyst.
3. Odontogenic myxoma.
4. All of the above

Correct answer: 4. All of the above

Explanation: Ameloblastoma
Aneurysmal bone cyst
Odontogenic keratocyst
Central gaint cell granuloma
Central haemangioma
Odontogenic myxoma